Prolonged immobilization leads to?
1. Hypercalcemia
2. Hypocalcemia
3. Hyperkalemia
4. Hypokalemia

Correct answer: 1. Hypercalcemia

Explanation: Immobilization can lead to bone resorption sufficient to cause hypercalcemia. The immobilization is usually caused by spinal cord injury or extensive casting after fractures, although it can occur in settings such as Parkinson's disease. Hypercalcemia of immobilization occurs predominantly in the young and in patients with other reasons for a high rate of bone turnover, such as Paget's disease or extensive fractures. After spinal cord injury, the hypercalciuria is maximal at 4 months and can persist for longer than 1 year. Bisphosphonates have been used to reverse the hypercalcemia and hypercalciuria of spinal cord injury.